Which of the following class specific antigenic determinants of an immunoglobulin is associated with?
1. L - chain
2. H - chain
3. J - chain
4. Variable region

Correct answer: 2. H - chain

Explanation: Ans. is 'b' i.e., H - chain(Ref: Chatterjee Shinde, 4th/e, p. 92, 93; Chandrasoma Taylor, 3rd/e, p. 61, 62. Ananthanarayan, 9th/e, p. 94 Table 11.1)* The five classes of Igs are classified based on the amino acids sequence of the heavy chain. The basic immunoglobulin molecule is composed of two heavy (H) chains and two light (L) chains which are connected by disulfide bonds.